Split laceration resembles -
1. Incised wound
2. Abrasion
3. Gunshot wound
4. Contusion

Correct answer: 1. Incised wound

Explanation: Split laceration looks like incised wound.